All of the following are features of multiple sclerosis except
1. CSF shows oligoclonal bands
2. Antibodies to aquaporin -4 present
3. Lesions are disseminated in time and space
4. Risk is more in females

Correct answer: 2. Antibodies to aquaporin -4 present

Explanation: Antibodies to aquaporin -4 are found in neuromyelitis optica